The mean denture bearing area in the edentulous  mandible is approximately
1. 12.25 cm2 (14 cm2)
2. 16.25 cm2
3. 18.12 cm2
4. 20.25 cm2

Correct answer: 1. 12.25 cm2 (14 cm2)